"Red current jelly" stool in an infant is characteristic of
1. Acute gastroenteritis
2. Rectal piles
3. Intussusception
4. Fisure-in-ano

Correct answer: 3. Intussusception

Explanation: Initially, the passage of stool may be normal, whereas, later, blood and mucus are evacuated - the 'redcurrant jelly' stool.Vomiting may or may not occur at the outset but becomes conspicuous and bile-stained with time. Ref: Bailey & Love's Short Practice of Surgery,E25,Page-1194